All are elevators of mandible except -
1. Temporalis
2. Medial pterygoid
3. Masseter
4. Digastric

Correct answer: 4. Digastric

Explanation: Depressors of mandible are :-


Muscle of mastication : Lateral pterygoid (major depressor).
Suprahyoid muscles : Digastric, mylohyoid, geniohyoid.


Elevators of mandible are :-


Muscles of mastication : Masseter, temporalis, medial pterygoid.